There are two electrodes placed at a distance of 4.5cm and it takes 1.5ms for current to be propagated along the nerve from one to another electrode. The velocity of nerve conduction is ?
1. 60m/s
2. 30m/s
3. 45m/s
4. 80m/s

Correct answer: 2. 30m/s

Explanation: Ans. is'b'i.e., 30m/s Velocity = Distance traveled / Time taken to travel distance = 4.5 cm / 1.5 ms = 3 cm/ms = 30 m/sec